Composite resins in comparison to acrylic have:
1. Low compressive strength
2. High abrasive resistance
3. High water absorption
4. High polymerization shrinkage

Correct answer: 2. High abrasive resistance